Grade I lymphedema means:
1. Pitting edema upto the ankle
2. Pitting edema upto the knee
3. Non - pitting edema
4. Edema disappearing after overnight rest

Correct answer: 4. Edema disappearing after overnight rest

Explanation: Brunner's clinical classification of Lymphedema Grade Clinical features Subclinical (latent) Excess interstitial fluid and histological abnormalities in lymphatics and lymph nodes, no clinically apparent lymphedemaQ. I Pitting edema, largely or completely disappears on elevation and bed restQ II Non - pitting edema, does not significantly reduce upon elevationQ. III Edema associated with irreversible skin changes, i.e. fibrosis papillaeQ.